A 10 year old boy presents with severe itching of the eye and a ropy discharge. His symptoms aggravate in summer season. Most likely diagnosis is?
1. Blepharitis
2. Trachoma
3. Vernal keratoconjunctivitis
4. Acute conjunctivitis

Correct answer: 3. Vernal keratoconjunctivitis

Explanation: Vernal keratoconjunctivitis or spring catarrh is a recurrent, bilateral interstitial allergic inflammation of the conjunctiva usually seen in young males. It has seasonal incidence as the name suggests. Ref: A.K KHURANA (2005), Chapter 4, "Disease of The Conjunctiva", In the book, "Opthalmology", 3rd Edition, Newdelhi, Page 101